MARTEL'S sign is seen in
1. Gout
2. SLE
3. Takayasu
4. Kawasaki disease

Correct answer: 1. Gout